Hearing loss in Meneire's disease is of what type?
1. Fluctuating SNHL
2. Progressive SNHL
3. Conductive hearing loss
4. Mixed Hearing loss

Correct answer: 1. Fluctuating SNHL

Explanation: Ans. is 'a' i.e., Fluctuating SNHL Fluctuating hearing loss in Meneire's Diseaseo Fluctuating nature of sensorineural hearing loss is quite characteristic.o Initially there is loss of low frequency sound, later both low and high frequencies are involvedo Distortion of sound occurs in some patients, e.g. a tone of a particular frequency may appear normal in one ear and of higher pitch in the other leading to diplacusis.o Intolerance to loud sounds occurs due to recruitment phenomenon